All are waterborne diseases except -
1. Typhoid
2. Fish tape worm
3. HAV
4. Cholera

Correct answer: 2. Fish tape worm

Explanation: Fish tapeworm(Diphyllobothrium latum) Infection is acquired when the person eats undercooked fish containing the parasite and not by drinking water! Park's Textbook of Preventive and Social Medicine, 25th Edition Ref: 25th Ed K.Park's Textbook Of Preventive and Social Medicine